Which plasmodium infection has predilection for attacking old RBCs?
1. Plasmodium Vivax
2. Plasmodium Ovale
3. Plasmodium malariae
4. Plasmodium Falciparum

Correct answer: 3. Plasmodium malariae

Explanation: Ref: Harrison's, 19th ed. pg. 1371* P. vivax, P. ovale, show a marked predilection for young RBCs* P. malariae has predilection for old RBCs* P. falciparum can invade erythrocytes of all ages and may be associated with very high levels of parasitemia.Characteristics of plasmodium species infecting humansFinding of indicated speciesCharacteristicP. falciparumP. vivaxP. ovaleP. malariaeDuration of intrahepatic phase (days)5.58915Number of merozoites released per infected hepatocyte30,00010,00015,00015,000Duration of erythrocytic cycle (hours)48485072Red cell preferenceYounger cell (but can invade cells of all ages)Reticulocytes and cells up to 2 weeks oldReticulocytesOlder cellsMorphology of RBC and parasitesUsually only ring forms; banana-shaped gametocytes, (Maurer dots)Irregularly shaped large rings and trophozoites; enlarged erythrocytes; (Schuffner's dots)Infected erythocytes, enlarged and oval with tufted end; (James dots)Band or rectangular forms of trophozoites common (Ziemann's dot)Ability to cause relapsesNoYesYesNo